Which of the following is not an insulin analogue?
1. Insulin glargine
2. Insulin lispro
3. Actrapid
4. Insulin aspart

Correct answer: 3. Actrapid

Explanation: Ans. (C) Actrapid(Ref: KDT 8/e p285)Actrapid (regular insulin) and monotard (Lente-insulin) are unmodified insulins with same amino acid squence as natural insulinLispro, aspart, glulisine and glargine are insulin analogues in which slightly different amino acid sequence is present to modify pharmacokinetics.